In a patient with class III facial profile one would think of which type of genioplasty
1. Reduction genioplasty
2. Advancement genioplasty
3. Straightening genioplasty
4. Rotational genioplasty

Correct answer: 1. Reduction genioplasty